The cause of scleritis is -
1. Collagen vascular disease
2. TB
3. Trauma
4. Glaucoma

Correct answer: 1. Collagen vascular disease

Explanation: Scleritis is commonly associated with connective tissue disease (including collegen vascular disease) such as → RA, SLE, PAN, Wegener's granulomatosis, Relapsing polychondritis.